Melanosis coli is caused by
1. Bisacodyl
2. Senna
3. Magnesium sulphate
4. Lactulose

Correct answer: 2. Senna

Explanation: Senna and cascara are anthraquinone derivatives, which are used as stimulant purgatives. On chronic use they can lead to melanosis coli.